Retinal cells which secrete acetylcholine
1. Bipolar cells
2. Ganglion cells
3. Amacrine cells
4. H Cells

Correct answer: 3. Amacrine cells

Explanation: The cholinergic amacrine cells of the rabbit retina secrete acetylcholine by two mechanisms. One is activated by stimulation of the retina by light or depolarization of the amacrine cells by K+ ions. It requires the presence of extracellular Ca2+. The second is independent of extracellular Ca2+ and is unaffected by large depolarizations of the cells. It bears some similarity to the acetylcholine 'leakage' described at the neuromuscular junction. Although the Ca2+-independent mechanism accounts for about two-thirds of the total acetylcholine release in the dark, the amount of acetylcholine released in this way is small compared with the release of acetylcholine triggered by stimulation of the retina with light. Its biological significance is unclear.Ref: Ganong's review of medical physiology, 23rd edition, Page no: 182